Reassortment has enabled the development of live vaccines, which is a feature of the following virus?
1. Hepadna virus
2. Herpes virus
3. Astrovirus
4. Rotavirus

Correct answer: 4. Rotavirus

Explanation: One unique feature of rotaviruses is the ease with which the 11 RNA segments can undergo reassortment. Reassortment has enabled the development of live vaccines that combine genes from readily cultivated animal rotaviruses with human rotavirus genes that encode serotype-specific capsid proteins. Ref: Ray C.G., Ryan K.J. (2010). Chapter 15. Viruses of Diarrhea. In C.G. Ray, K.J. Ryan (Eds), Sherris Medical Microbiology, 5e.